Duffy blood group antigen negativity confers protection against infection by:
1. Plasmodium falciparum
2. Plasmodium vivax
3. Plasmodium ovate
4. Plasmodium malariae

Correct answer: 2. Plasmodium vivax

Explanation: Ans. B i.e. Plasmodium vivax Duffy antigen/Chemokine receptor (DARC)/ Fy glycoprotein (FY) or CD234 (Cluster of Differentiation 234) It is a protein that in humans is encoded by the DARC gene. The Duffy antigen is located on the surface of red blood cells, and is named after the patient in which it was discovered. The protein encoded by this gene is a glycosylated membrane protein and a non-specific receptor for several chemokines. The protein is also the receptor for the human malarial parasites Plasmodium vivax and Plasmodium knowlesi. Duffy negative individuals whose erythrocytes do not express the receptor are believed to be resistant to merozoite invasion